A 12-year old child with renal tubular acidosis type I is having muscle cramps and weakness. ECG shows all except:
1. T wave inversion with U waves
2. ST depression
3. Heart rate of 75 beats per minute
4. Absent P waves

Correct answer: 4. Absent P waves

Explanation: ECG findings with h/o renal tubular acidosis with c/o muscle cramps and weakness s/o Hypokalemia Hypokalemia ECG Increased width of the P waves Prolongation of the PR interval T wave flattening and inversion ST depression Prominent U waves Long QT interval due to fusion of the T and U wave = long QU interval